A 30-year-old HIV positive patient presents with fever, dyspnoea and non-productive cough. The patient is cyanosed. His chest X-ray reveals bilateral, symmetrical interstitial infiltrates. The most likely diagnosis is -
1. Tuberculosis
2. Cryptococcosis
3. Pneumocystis carinii pneumonia
4. Toxoplasmosis

Correct answer: 3. Pneumocystis carinii pneumonia